In pregnancy, there is a physiological increase of the-
1. Blood pressure in the third trimester
2. Blood viscosity
3. Cardiac output
4. Peripheral resistance of the blood vessels

Correct answer: 3. Cardiac output